Which of the following is best for reducing proteinuria in diabetic patient
1. Metaprolol
2. Perindopril
3. Chlorthiazide
4. Clonidine

Correct answer: 2. Perindopril

Explanation: Refer CMDT 2010/1105 An ACE inhibitor in normotensive Diabetic impedes progression to proteinuria and prevents the excretion in albumin excretion rate